Nucleus ambiguos is related to all cranial nerve except
1. VIII
2. IX
3. X
4. XI

Correct answer: 1. VIII

Explanation: Cells in nucleus ambiguous contain motor neurons associated with three cranial nerves : (rostral pole-glossopharyngeal; middle pa-vagus; caudal pole-spine accessory). Axons arising from nucleus ambiguous pass laterally and slightly ventrally to exit the medulla just dorsal to the inferior olive. Facial nerve nuclei are located in the pons. (Ref: vishram Singh textbook of clinical neuroanatomy second edition pg 94)